Chromosome-associated with cystic fibrosis is-
1. 7
2. 8
3. 11
4. 13

Correct answer: 1. 7

Explanation: Ans is 'a' i.e. 7 o Cystic fibrosis occurs due to a mutation in the CFTR (Cystic fibrosis transmembrane regulator) gene on the long arm of chromosome-7.o CFTR was initially recognized as chloride conductance channel but it is now recognized that CFTR can regulate multiple ion channels and cellular processes. These include chloride channels, Potassium channels, Gap junction channels, Bicarbonate ions.o Cystic fibrosis is an autosomal recessive disorder